In local anaesthesia, which of the following is the first sequence to go –
1. Temprature
2. Parasympathetic
3. Motor
4. Preganglionic sympathetic

Correct answer: 4. Preganglionic sympathetic

Explanation: Order of block :- Autonomic (Preganglionic sympathetic) > Sensory > Motor.
Order of recovery :- Motor > Sensory > Autonomic.